Classical markers for Hodgkin's disease is -
1. CD 15 and CD 30
2. CD 15 and CD 22
3. CD 15 and CD 20
4. CD 20 and CD 30

Correct answer: 1. CD 15 and CD 30